In scurvy all of the following radiological signs are seen except:
1. Pelican spur
2. Soap bubble appearance
3. Zone of demarcation near epiphysis
4. Frenkel's line

Correct answer: 2. Soap bubble appearance

Explanation: Ans. Soap bubble appearance